The distance from airport or seaport which has to be free from mosquitoes is-
1. 400m
2. 500m
3. 1 km
4. 100m

Correct answer: 1. 400m

Explanation: Ans. is 'a' i.e., 400 m o Measures designed to restrict the spread of yellow fever are specified in the "International health regulation" of WHO.o These are implemented by the Govt of India through stringent aerial and maritime traffic regulations,o Broadly these comprise : -TravellersAll travellers (including infants) exposed to yellow fever or passing through endemic zones of yellow fever must posses a valid international certificate fo vaccination against yellow fever before they are allowed to enter yellow' fever receptive areas like India.The validity of the certificate begins 10 days after the date of vaccination and extends up to 10 years.Revaccination performed before the end of the validity' of certicicate renders the certificate valid for a further period of 10 years starting on the day of re vaccination. If no such certificate fo vaccination is available, the travellar is placed on quarantine for 6 days from the date of leaving an infected area.MosquitoesThe aircraft and ships arriving from endemic areas are subjected to aerosol spraying with prescribed insecticides. Airports and Seaports are kept free from the breeding of insect vectors over an area extending at least 400 metres around their perimeters.The aedes aegypti index" is kept below 1.